A 50 year old male patient complains of restricted mouth opening. Patient had undergone TMJ surgery 3 weeks back. Arthrography was done which revealed fibrous adhesions in joint space. Which of the following is most likely to be occurred during the diagnostic procedure in this patient?
1. Resistance to injection of contrast agent
2. Free flow of contrast agent
3. No contrast agent can be injected
4. None

Correct answer: 1. Resistance to injection of contrast agent

Explanation: Adhesions may restrict normal movement of the disc during the mandibular opening, resulting in a “stuck disc” and possible closed lock. Adhesions are best identified with arthrography by resistance to injection of contrast agent.
White and Pharoah, Oral radiology, ed 7th, pg-506